Best indicator of growth monitoring in children
1. Weight
2. Mid-arm circumference
3. Rate of increase in height & weight
4. Head circumference

Correct answer: 3. Rate of increase in height & weight

Explanation: Rate of increase in height or weight as age advances- Best indicator of growth monitoring in children Uses of growth chart:- 1) For growth monitoring 2) Diagnostic tool for identifying "high risk" children 3) Planning and policy making 4) Education tool 5) Tool for action Mid arm circumference, Body weight and chest circumference are one time point estimates therefore they are not adequate to provide information about long term nutritional status of the child.